On exposure to air, urine colour changes to olive green in poisoning with:
1. Carbolic add
2. Cyclophosphamide
3. Phenopthalein
4. Ethelene glycol

Correct answer: 1. Carbolic add

Explanation: Ans.: A (Carbolic acid poisoning) "Carbolic acid (phenol) poisoning urine may be colorless or slightly green at first but turns green'-1 or even black on exposure to air"- Reddy 27thf470Carbolic acid0|Oxidation|Oxidation (metabolism in body)|Hvdroquinone & pvrocatechol|Excreted in urine|Further oxidation|Green colour of Urine (carboluria)Q